Which of the following is not synthesised from mevalonate?
1. Farnesyl pyrophosphate
2. Geranyl pyrophosphate
3. Dolichol
4. Ubiquitin

Correct answer: 4. Ubiquitin

Explanation: Cholesterol synthetic pathway is also involved in the synthesis of many other important compounds such as: Farnesyl pyrophosphate and geranyl pyrophosphate - involved in prenylation of proteins. Dolichol - involved in N-glycosylation of proteins in endoplasmic reticulum. Ubiquinone (Q10) - is the electron carrier in the mitochondrial respiratory chain. Inhibition of ubiquinone synthesis is one of the reasons for statin-induced myopathy. Ubiquitin protein is not synthesized by any of the cholesterol synthesis pathway intermediate.